Brown tumour is found in
1. Hypoparathyroidism
2. Hyperparathyroidism
3. Hypocalcemia
4. Hypothyroidism

Correct answer: 2. Hyperparathyroidism

Explanation: (Hyper parathyroidism) (990- CMDT-08) (1765-H17th)Hyper parathyroidism causes a loss of cortical bone and again of trabecular bone. Osteitis fibrosa cystica may present as pathologic fracture or as "brown tumours " or cysts of Jaw.More commonly, patients have bone pain and arthralgia